Which of the following anaesthesia will produce decreased EEG activities –
1. Hypothermia
2. Early hypoxia
3. Ketamine
4. N2O

Correct answer: 1. Hypothermia

Explanation: Activation of EEG :- Inhalational agent (subanesthetic doses), Barbiturates (small dose), Benzodiazepines (small doses), Etomidate (small doses), Nitrous oxide, Ketamine, Mild hypercapnia, Sensory stimulation, Hypoxia (early).
Depression of EEG :- Inhalational agents (1-2 MAC), Barbiturates, opioids, propofol, etomidate, hypocapnia, marked hypercapnia, Hypothermia, Ischemia, Hypoxia (late).